Treacher Collins Syndrome is
1. Maxiaofacial Dysostosis
2. MandibuLofacial Dysostosis
3. Maxillomandibutofacial Dysostosis
4. Condylar Dysostosis

Correct answer: 2. MandibuLofacial Dysostosis